Which of the following radioisotopes is commonly used as a source for external beam radiotherapy in the treatment of cancer patients?
1. Strontium-89
2. Radium-226
3. Cobalt-59
4. Cobalt-60

Correct answer: 4. Cobalt-60

Explanation: Ans. Cobalt-60